All of the following are features of obstructed labour except :
1. Hot dry vagina
2. Tonic contracted uterus
3. Bandl's ring
4. Unruptured membranes

Correct answer: 4. Unruptured membranes

Explanation: In case of obstructed labour : Membranes are ruptured Vagina is hot and dry Foul smelling discharge Ref: Datta Obs 9e pg 380.